Which of the following conditions can produce hemothorax
1. Myxoma
2. Congestive heart failure
3. Rheumatoid arthritis
4. Uremia

Correct answer: 4. Uremia

Explanation: Patients with later stages of CKD may have abnormal hemostasis and increased tendency to bleeding due to:Prolonged bleeding timeDecreased activity of platelet factor IIIAbnormal platelet aggregation and adhesivenessImpaired prothrombin consumption(ref: Harrison's 18/e p2180, 17/e p1763)